Approximately how much time is required for progression of incipient to clinical cavitated caries on smooth surface?
1. 10+-6 months
2. 18+-6 months
3. 25+-8 months
4. 13+-3 months

Correct answer: 2. 18+-6 months

Explanation: The time for progression from incipient caries to clinical caries (cavitation) on smooth surface is estimated to be 18 months, plus or minus 6 months.